Duputryens contracture is associated with
1. Peyranies diaease
2. Hypospadias
3. Epispadias
4. Exotropy

Correct answer: 1. Peyranies diaease

Explanation: Duputryens contracture - Plamar fibromatosis is seen in Peyronie's disease.